Which are first order neuron in optic pathway?
1. Bipolar cells
2. Ganglionic cells
3. Cells of lateral geniculate body
4. Astrocytes

Correct answer: 1. Bipolar cells

Explanation: Ans. is 'a' i.e., Bipolar cells In visualpathway Sensory organs -Photoreceptors (Rods & cones) Neurons of first rder -3 Axon of bipolar cells (in Retina) Neurons of second rder - Axons of ganglionic cell (Retina i.e., Optic disc,Optic nerve, Optic chiasma, optic tracts) Neurons of third order - Axons from nerve cells in lateral geniculate body (optic adiation)